Herbert pits are seen in -
1. Trachoma
2. Phyctenular conjunctivitis
3. Acute iridocyclitis
4. Posterior uveitis

Correct answer: 1. Trachoma

Explanation: Ans. is 'a' i.e., Trachoma Signs of Trachoma* Conjunctival signs Congestion, conjunctival follicles (boiled sagograin like), Papillary hyperplasia, conjunctival scarring (Arifs line), concretion.* Corneal signsSuperficial keratitis, Herbert follicles, Pannus, Corneal ulcer, Herbert pits, Corneal opacity.